All of the following structures are derivatives of the the secondary vesicle called diencephalon, EXCEPT:
1. Thalamus
2. Subthalamus
3. Hypothalamus
4. Cerebral aqueduct

Correct answer: 4. Cerebral aqueduct

Explanation: The derivatives of diencephalon are subthalamus, thalamus, hypothalamus, epithalamus and third ventricle. Derivatives of secondary vesicles:Telencephalon: cerebral hemispheres, lateral ventriclesMesencephalon: midbrain, cerebral aqueductMetencephalon: pons, cerebellum, upper aspect of fourth ventricleMyelencephalon: lower aspect of fourth ventricle, medulla oblongataRef: Atlas of Neuroradiologic Embryology, Anatomy, and Variants edited by J. Randy Jinkins page 9